False about ulcerative colitis
1. Continuous inflammation
2. Leadpipe appearance
3. String sign is seen
4. Crypt abscesses are typical

Correct answer: 3. String sign is seen

Explanation: String sign is seen in chron's disease.